True about psoriatic arthritis are all expect ?
1. HLA-Cw6 association
2. Involvement of DIP joint
3. More common in males
4. DOC is methotrexate

Correct answer: 3. More common in males

Explanation: Ans. is 'c' i.e., More common in males Psoriatic arthritis does not have sex predilection. The largest and most consistent reported relative risk has been with HLA-Cw6. Psoriatic arthritis involves DIP joints and the DOC for psoriatic arthritis is methotrexate. Psoriatic arthritis Psoriatic arthritis refers to an inflammatory arthritis that characteristically occurs in individuals with psoriasis. Only 5% of patients with psoriasis develop arthritis. In 60-70% of cases, psoriasis precedes joint disease. In 15-20%, the two manifestations appear within 1 year of each other. In about 15-20% of cases, the arthritis precedes the onset of psoriasis and can present a diagnostic challange. Clinical features The usual age at onset is 30-50 years. The patient may present with one of several patterns of joint involvement. These include : Arthritis of distal interphalangeal (DIP) joints Assymetrical oligoarthritis : Most common pattern Symmetrical polyarthritis similar to RA Axial involvement (sacroiliac and spine) similar to ankylosing spondylitis Arthritis multilans So, Psoriatic arthritis can present with symptoms similar to any other inflammatory arthritis (RA, AS) or with any other different pattern. Shortening of digitis, called telescoping, because of underlying osteolysis is particularly characteristic of Psoriatic arthritis and there is much greater tendency than in RA for both fibrous and bony ankylosis. Other findings are enthesitis, nail changes, and tenosynovitis. Treatment of Psoriatic arthritis Anti TNF - a agents eg etanercept and infliximab are newer drugs and are effective even in longstanding restistent PsA cases to previous therapy and extensive skin lesion. Methotrexate is drug of choice. Other effective agents are sulfasalazine, cyclosporine, retinoic acid & psoralen & UV-A (PUV A). Use of immunosuppressive therapy including anti TNF a agents, methotrexate and cycloserine are contraindi cated in HIV associated PsA.